All are true about pancreatic fistula in chronic pancreatitis except
1. Most cases resolve spontaneously by Conservative treatment
2. Somatostatin is effective in fistula closure
3. In prevention of fistula, adherence to standardised and meticulous technique is more important than the pancreatic texture or the type of anastomosis used
4. Early intervention is required if associated with hemorrhage or sepsis

Correct answer: 2. Somatostatin is effective in fistula closure

Explanation: Trials have demonstrated the benifit of prophylactic octreotide in the prevention of pancreatic fistula; however the role of octreotide, once fistula is established remains unclear. In such situations, the octreotide administration is continued for upto 2 weeks, while in those who donot seem to respond, it is discontinued Ref: Blumgart 5th edition Pgno :965